All are true about P-value except:
1. Is the probability of committing Type -I error
2. Is equal to 1-beta
3. Is the chance that the presence of difference is concluded when actually there is none
4. When P- value is less than a, the result is statistically significant

Correct answer: 2. Is equal to 1-beta

Explanation: Type I error is usually fixed in advance by the choice of level of significant employed in the test Type I error is more serious than Type II error Power of a test: 1-b -Is probability of rejecting a Null hypothesis when a predetermined clinically significant difference is indeed present -Power can be increased by increasing the no. of subjects in a trial There is no mathematical relationship between a and b.